Causative agent of Favus is:
1. Tinea schoenleinii
2. Tinea rubrum
3. Malassezia furfur
4. Epidermophyton floccosum

Correct answer: 1. Tinea schoenleinii

Explanation: Ans. A. Tinea schoenleiniiFavous usually affect scalp, but occurring occasionally on any part of the skin and even at times on mucous membrane, caused by Tinea schoenleinii.